Which of the following drug helps in delay in absorption of carbohydrates?
1. Acarbose
2. Glipizide
3. Nateglinide
4. Pioglitazone

Correct answer: 1. Acarbose

Explanation: Ans. A. AcarboseAcarbose is alpha glucosidase inhibitor. It inhibits the breakdown of complex carbohydrates to simple carbohydrates and thus they decrease the absorption.